In a 60 kg man, energy requirement fer sedentary work (kcal/d) -
1. 1900
2. 2300
3. 2700
4. 3500

Correct answer: 2. 2300

Explanation: Ans. is 'b' i.e., 2300 GroupCatetory/AgeBodyweight (kg)New energy (kcal/d)Protein (g/d)Visible Fat (mg/d)Calcium (mg/d)Iron (mg/d)Zinc (mg/d)Magnesium (Mg/d)ManSedentary work 2,320 25 Moderate work602,73060.0306001712340 Heavy work 3,490 40 WomanSedentary work 1,900 20 Moderate work 2,23055.0256002110 Heavy work552,850 30 310 Pregnant woman + 3507830120035 Lactation 0-6 m + 600743012002112 6-12 months + 5206830 Infants0-6 months5.492 kcal/kg/d1.16 g/kg/d-50046 g/kg/d-30 6-12 months8.480 kcal/kg/d1.69 g/kg/d19 05-45Children1-3 years12.91,06016.72760009550 4-6 years18.01,35020.12560013770 7-9 years25.11,69029.530600168100Boys10-12 years34.32,19039.935800219120Girls10-12 years35.02,01040.435800379160Boys13-15 years47.62,75054.345800321 1165Girls13-15 years46.62,33051.940800271 1210Boys16-17 years55.43,02061.5508002812195Girls16-17 years52.12,44055.5358002612235